Because free ammonia in the blood is toxic to the body, it is transported in which of the following non-toxic forms?
1. Histidine and urea
2. Phenylalanine and methionine
3. Glutamine and urea
4. Lysine and glutamine

Correct answer: 3. Glutamine and urea

Explanation: Ans. C. Glutamine and ureaBoth urea and glutamine play an important role in the storage and transport of ammonia in the blood. Histidine, phenylalanine, methionine, and lysine are not involved in ammonia transport.